3 year old child has a central incisor that has turned
bluish black. There is a small radiolucent area at the
apex of the tooth. Ideal treatment is
1. Extraction
2. Pulpotomy with formocresol
3. Pulpectomy; fill with zinc oxide eugenol
4. Pulpotomy with calcium hydroxide

Correct answer: 3. Pulpectomy; fill with zinc oxide eugenol